Congenital toxoplasmosis false is aEUR'
1. IgA is better than IgM in detection
2. Diagnosed by detection of IgM in cord blood
3. IgG is diagnostic
4. Not recalled

Correct answer: 3. IgG is diagnostic

Explanation: IgG is diagnostic Repeat .from May 10 Q no.122